Boomerang ventricle is a feature of?
1. Lissencephaly
2. Schizencephaly
3. Holoprosencephaly
4. Huntingtons Chorea

Correct answer: 3. Holoprosencephaly

Explanation: *Pancake Brain and boomerang/horse shoe ventricle is presence of a single large ventricle in Prosencephalon feature of Alobar Holoprosencephaly Can be seen associated with Patau syndrome/Trisomy 13.